Vidian neurectomy done in:
1. Allergic rhinitis
2. Vasomotor rhinitis
3. Atrophic rhinitis
4. Drug-induced rhinitis

Correct answer: 2. Vasomotor rhinitis

Explanation: ANSWER: (B) Vasomotor rhinitisREF: P L Dhingra 4th edition page 160, 1810%2806%2900013-3/abstractVidian neurectomy was first described for the treatment of intractable vasomotor rhinitisin the 1960s but fell into disrepute because of the recurrence of symptoms and significant complications. With subsequent improvements in the understanding of the nasal and sinus anatomy, endoscopic vidian neurectomy can now? be performed with minimal dissection and morbidityThe principle underlying vidian neurectomy is to sever the preganglionic fibers that reach the sphenopalatine ganglion through the vidian nerve. Several routes have been described to approach the deep seated vidian nerve:Trans antral Trans eptalTranspalatalTransethmoidal andTrans nasalThe most popular approach to the vidian nerve is the Transantral route.